Schizophrenia can be treated with all the following EXCEPT:
1. Pemoline
2. Olanzapine
3. Sulpiride
4. Chlorpromazine

Correct answer: 1. Pemoline

Explanation: Medications Antipsychotic Reduces or improves the symptoms of certain psychiatric conditions. Anti-Tremor Helps control tremor, shaking and unsteadiness. Ref; KD Tripati 8th ed.